Which of the following is a long-acting beta 2 against -
1. Orciprenaline
2. Penoterol
3. Pexbaterol
4. Salmeterol

Correct answer: 4. Salmeterol

Explanation: β2,-agonists used in Asthma 1. Short acng → Salbutamol, terbutaline

2. Long acng → Salmeterol, formoterol  Bambuterol is a prodrug of terbutaline. It is slowly hydrolysed by pseudocholineterase.
 Short-acting β2-agonists produce bronchodilation within 5 min and action lasts for 2-6 hrs →
are used to abort and terminate acute asthma, but are not suitable for prophylaxis,
 Salmeterol is delayed acting, can be used for prophylaxis only, while formoterol is fast acng and long acng can be used for both prophylaxis and acute aack.
Salbutamole & Terbutaline →
Only for acute attack Salmeterol →
Only for prophylaxis Formoterol → Both for prophylaxis and acute attack

 Long acting β2-agonists (salmeterol & formoterol) are superior to short acting β2-agonists (salbutamol & terbutaline),

and equivalent to inhaled anticholinergics in COPD. NoteFor one opon go ahead with opon ‘d’, i.e. adrenaline because amongst the given opons,
adrenaline is shortest acng (60 - 90 minutes).

 Salmeterol and formoterol are long-acting β2,-agonists.

 Their lipophilic action is responsible for longer action → Lipophilic side chain anchors the drug in membrane adjacent to the receptor, slowing